CREST syndrome includes all except:
1. Calcinosis cutis.
2. Reynaud's phenomenon
3. Tetanus.
4. Sclerodactyly.

Correct answer: 3. Tetanus.

Explanation: Calcinosis cutis, Raynauds phenomenon, Esophageal dysfunction, Sclerodactyly and Telangiectasia.